Mediator of acute inflammation not derived from cell is
1. Histamine
2. Leukotrienes
3. Kinins
4. Cytokines

Correct answer: 3. Kinins

Explanation: Ans: C (Kinins) Ref: Harsh Mohan, Textbook of Pathology, 6th edition, pg 136-37Explanation:Chemical Mediators of InflammationAka permeability factors or endogenous mediators of increased vascular permeability.They are broadly classified into 2 groups:Mediators released by ceils.Mediators originating from plasma.Chemical Mediators of Acute InflammationA. Cell-Derived MediatorsVasoactive aminesHistamine5-hydroxytryptamineNeuropeptidesArachidonic acid metabolites (Eicosanoids)Metabolites via cyclo-oxygenase pathwayProstaglandinsThromboxane A2ProstacyclinResolvinsMetabolites via lipo-oxygenase pathway5-HETELeukotrienesLipoxinsLysosomal components (from PM Ns, macrophages)Platelet activating factor (PAF)CytokinesIL-1TNF-aTNF-bIFN-gChemokinesFree radicalsOxygen metabolitesNitric oxideB. Plasma-Derived Mediators (Plasma Proteases) Products of:The Kin in the system.The Clotting system.The Fibrinolytic system.The Complement system.